A head injured patient, who Opens eyes to painful is confused and localizes to pain. What is his Glassgow coma Score
1. 7
2. 9
3. 11
4. 13

Correct answer: 3. 11

Explanation: Harrison's principles of internal medicine 17th edition *Glasgow coma score eye opening 4-spontaneous,3- verbal stimuli, 2- painful stimuli,1-no response ( nonintubated). 5- oriented and talks, 4- disoriented and talks,3-inappropriate words,2- incomprehensible sounds,1-no response verbal(intubated). 5- seems able to talk,3- questionable ability to talk,1-generally unresponsive activity. 6- verbal command,5- localises to pain,4-withdraws to pain,3- decorticate,2- decerebrate,1-no response